All of the following patients presenting with abdominal pain and shock need immediate laparotomy except
1. Ruptured ectopic preganancy
2. Hemorrhagic pancreatitis
3. Rupture abdominal Aortic aneurysm
4. Ruptured liver hemangioma

Correct answer: 2. Hemorrhagic pancreatitis

Explanation: All of the following patients presenting with abdominal pain and shock need immediate laparotomy except hemorrhagic pancreatitis Bailey says " In peritonitis due to pancreatitis or salpingitis, or in cases of primary peritonitis of streptococcal or pneumococcal origin, non operative treatment is preferred Sabiston says" Ruptured ectopic is a surgical emergency " Definitive treatment of ruptured Aortic aneurysm is operation, not monitoring and resuscitation Maongot's says regarding liver hemangioma" Intra abdominal hemorrhage is extremely uncommon, but when does it occur, it should be considered as a life threatening emergency and treated with combination of angiography with embolization and surgery Ref: Bailey and love 27th edition Pgno : 1144 Sabiston 20th edition Pgno :1528 Manigot's 11th edition Pgno :786,977